CURB - 65 score is used in pneumonia to assess
1. Severity
2. Complication
3. Cause
4. Effect of treatment

Correct answer: 1. Severity

Explanation: Ans. A. Severity'CURB - 65' score: To asses severity of pneumonia, CURB-65 score is useda. Confusion:b. Urea >7mmol/L(7x2.8=19.6mg%)c. Respiratory rate >30/mind. BP <90 systolic and/or <60mmHg diastolic).e. Age >65.Score:0-1 = home treatment possible0-2 = Hospital Therapy0-3 = Indicates severe pneumonia.